Most important investigation for pericardial effusion -
1. Cardiac catheterization
2. USG
3. Echocardiography
4. X-ray chest

Correct answer: 3. Echocardiography

Explanation: 2D Echocardiography is the investigation of choice for Pericardial Effusion ,Cardiac Tamponade ,Valvular Heart ds , Cardiomyopathy